Milwalkee brace is used in treatment of -
1. Scoliosis
2. Kyphosis
3. Cubitus varus
4. Genu varum

Correct answer: 1. Scoliosis

Explanation: Ans. is 'a' i.e., Scoliosis o The Milwaukee brace is principally a thoracic support consisting of a pelvic corset connected by adjustable steel supports to a cervical ring earning occipital and chin pads,o Its purpose is to reduce the lumbar lordosis and encourage active stretching and straightening of the thoracic spine.o It is used in the consenative management of idiopathic scoliosis.